Crocodile tears is due to abnormal regeneration of
1. Facial Nerve
2. Auriculotemporal Nerve
3. Vagus Nerve
4. Glossopharyngeal Nerve

Correct answer: 1. Facial Nerve